Nut meg liver occurs in
1. Jaundice
2. Chronic venous congestion
3. Cirrhosis
4. Hepatocellular carcinoma

Correct answer: 2. Chronic venous congestion